Pleomorphic adenoma histology is characterized by-
1. Epithelial component
2. Endothelial component
3. Mesodermal component
4. Mixed epithelial and mesenchymal components

Correct answer: 4. Mixed epithelial and mesenchymal components

Explanation: Robbins basic pathology 9th edition page no 556 Heading =pleomorphic adenoma Pleomorphic adenomas are benign tumors that consists of a mixture of epithelial and myoepithelial cells, so they exibit both epithelial and mesenchymal diffrentiation